Genital tubercle forms which part in females -
1. Labia major
2. Labia minora
3. Clitoris
4. None

Correct answer: 3. Clitoris